Adenoidectomy with Grommet insertion is treatment of choice for:
1. Serous otitis media in adults
2. Serous otitis media in children
3. Adenoiditis in children
4. Otitis interna in children

Correct answer: 2. Serous otitis media in children

Explanation: Ans. (b) Serous otitis media in childrenRef: Dhingra 5th edp. 71-72* Serous otitis media is also known as Glue ear.* It is an insidious condition characterized by accumulation of non-purulent effusion in the middle ear cleft.* One of common causes of serous otitis media (Glue ear) in children is blockage of Eustachian tube secondary to adenoid hyperplasia.* Therefore, the treatment aims at removal of adenoid (adenoidectomy) and drainage of middle ear by grommet.# Grommet is a small tube inserted in tympanic membrane to drain the middle ear.* Serous otitis media in adults should arouse suspicion of nasopharyngeal carcinoma and hence the treatment aims at removal of carcinoma* Adenoiditis is an acute condition and requires treatment conservatively.